Progressive multifocal leukoencephalopathy is due to
1. JC virus
2. Papova virus
3. Measles
4. Japanese encephalitis

Correct answer: 1. JC virus

Explanation: (A) JC virus # Progressive multifocal leukoencephlopathy is due to JC virus.> JC virus, a polyomavirus, was first isolated from the diseased brain of a patient with Hodgkin's lymphoma who was dying of progressive multifocal leukoencephalopathy (PML).> This demyelinating disease occurs usually in immunosuppressed persons and is the result of oligodendrocyte infection by JC virus.> JC virus has also been isolated from the urine of patients suffering from demyelinating disease.> Cryotherapy & laser treatment are the most popular therapies for warts, although surgery may be indicated in some cases.> At the present time, there is no effective antiviral therapy for treatment of infection with polyomavirus or HPV West Nile virus is an arbovirus.> It is transmitted by mosquitoes and birds, especially crows; these animals are a reservoir.> WNV causes a rather mild encephalitis in humans, the exception being older patients or those who may be immunocompromised.